What is the principle behind radiotherapy in malignancy?
1. Ionisation of DNA
2. Dehydration of DNA
3. Charring the nucleus
4. Ultrasonic effect

Correct answer: 1. Ionisation of DNA

Explanation: Radiotherapy is the treatment of cancer with ionizing radiation. It works by damaging the DNA within the tumor cells, making them unable to divide and grow. The goal of radiation therapy is to maximize the dose to tumor cells while minimizing exposure to normal, healthy cells. Ref: Emami B et al. 1991